Scurvy is the result of deficiency of:
1. Vitamin A
2. Vitamin C
3. Vitamin B
4. Vitamin D

Correct answer: 2. Vitamin C